In blood transfusion, blood group most important is
1. Kell
2. Lewis
3. Li
4. Lutheran

Correct answer: 1. Kell

Explanation: . Kell